Dermatomal distribution of gluteal fold is through
1. L1
2. L3
3. S1
4. S3

Correct answer: 4. S3

Explanation: Dermatomal distribution of gluteal fold is through s3. BD CHAURASIA S HUMAN ANATOMY SIXTH Edition Pg no 66